Urine concentrating ability of the kidney is increased by
1. Increased medullary hyperosmolarity
2. Increase in RBF
3. Reduction of medullary hyperosmolarity
4. Increase in GFR

Correct answer: 1. Increased medullary hyperosmolarity

Explanation: Countercurrent mechanism is a system in the renal medulla that facilitates concentration of the urine as it passes through the renal tubules.Ref: Ganong's review of medical physiology; 24th edition; page no: 687